All are examples of glycosaminoglycans, EXCEPT:
1. Hyaluronic acid
2. Chondroitin sulfate
3. Heparin
4. None of the above

Correct answer: 4. None of the above

Explanation: Glycosaminoglycans (mucopolysaccharides) are complex carbohydrates containing amino sugars and uronic acids. They may be attached to a protein molecule to form a proteoglycan. Proteoglycans provide the ground or packing substance of connective tissue. They hold large quantities of water and occupy space, thus cushioning or lubricating other structures, because of the large number of --OH groups and negative charges on the molecule which, by repulsion, keep the carbohydrate chains apart. Examples are hyaluronic acid, chondroitin sulfate, and heparin Ref: Harper 28th edition, chapter 14.